True about protein A of staph aureus ?
1. Causes opsonization
2. Binds to Fc part of IgG
3. Stimulate phagocytosis
4. T-cell mitogen

Correct answer: 2. Binds to Fc part of IgG

Explanation: Ans. is 'b' i.e., Binds to Fc part of IgG Protein 'A' binds to Fc terminal of IgG (IgG 1, 2 & 4 but not IgG3) and prevents opsonophagocytosis by PMNs.It is a B-cell mitogen. It is chemotactic, anti-complementory and antiphagocytic.